Which of the viruses is not commonly implicated in the pathogenesis of Non-Hodgkin's lymphomas?
1. Human T-cell leukemia virus-1 (HTLV-1)
2. Epstein-Barr virus (EBV)
3. Human herpesvirus-8 (HHV-8)
4. Cytomegalovirus (CMV)

Correct answer: 4. Cytomegalovirus (CMV)

Explanation: HTLV-1 is associated with adult T-cell leukemia/lymphoma. EBV is found in a subset of Burkitt lymphoma, 30% to 40% of Hodgkin lymphoma (HL), many B-cell lymphomas arising in the setting of T-cell immunodeficiency, and rare NK-cell lymphomas. In addition to Kaposi sarcoma, HHV-8 is associated with an unusual B-cell lymphoma (primary effusion lymphoma) that presents as a malignant effusion, often in the pleural cavity.